Which of the following would be least likely seen 14 days after a rat is injected with a drug that kills all of its pancreatic B cells?
1. A rise in the plasma H+ concentration
2. A rise in the plasma aminoacid concentration
3. A fall in the plasma aminoacid concentration
4. A rise in plasma osmolality

Correct answer: 3. A fall in the plasma aminoacid concentration

Explanation: A fall in plasma aminoacid concentration is least likely to be seen in this case. Injury to the beta cells of the pancreas impairs insulin production rendering the rat insulin deficient. In insulin deficiency, catabolism of proteins increases and aminoacids in plasma increase. Insulin deficiency increases blood glucose levels, which lead to glycosuria and osmotic diuresis with extracellular dehydration. There is increase in the plasma osmolality. Insulin deficieny causes increased utilization of fats, excess production of ketoacids and metabolic acidosis. Metabolic acidosis- A rise in the plasma H+ develops. Ref: Guyton and Hall 13th edition PGno: 994,995